The following age group is most severely affected by rubella infection:
1. Females aged 25-35 year
2. Young girls
3. Adolescent girls
4. Unborn child

Correct answer: 4. Unborn child

Explanation: Congenital Rubella syndrome are often severe and may involve nearly every organ system Congenital rubella syndrome(CRS) includes:->Gregg's triad: Cataract Deafness (Sensorineural hearing loss) Congenital heart disease (Most common- PDA and less common-ASD)